Aspergillosis presents with all EXCEPT:
1. An infection caused by the fungus Aspergillus
2. Presents with shortness of breath, coughing and wheezing.
3. There may be pulmonary infiltrates, which do not respond to conventional antibiotics in asthma/CF sufferers.
4. None of the above

Correct answer: 4. None of the above

Explanation: Ans. (d) None of the aboveRef; Microbiology by Ananthanarayan and Paniker 8th ed. / 613ASPERGILLOSIS* Aspergillus fumigatus is the most common cause of aspergillosis.* Aspergillus is a mould with septate branching hyphae. Ability of A. fumigatus to grow at 45deg C helps to distinguish it from other species.* Mode of transmission: Inhalation of Aspergillus spores (Conidia).* The commonest human disease caused by aspergillus is: otomycosis.* Aspergillus infection in neutropenic patient is characterized by hyphae invasion of blood vessels, thrombosis, necrosis and hemorrhagic infarction.* Clinical manifestations# Allergic bronchopulmonary aspergillosis occurs in patients with preexisting asthma or cystic fibrosis.# Endobronchial saprophytic pulmonary aspergillosis (Aspergilloma) in a patient with prior chronic lung disease, such as tuberculosis, sarcoidosis, bronchiectasis or histoplasmosis# Invasive aspergillosis develops as an acute pneumonic process with or without dissemination in the immuno-compromised patients (most common among patients with acute leukemia and recipient of tissue transplants. CT finding: Halo sign and crescent sign# Allergic sinusitis may take three forms : A fungal ball may form. Chronic fibrosing granulomatous inflammation Allergic fungal sinusitis# Aspergillosis in AIDS Most commonly infect lung CD4 +ceil count is < 50/pL Most common radiologic finding is bilateral diffuse or focal pulmonary infiltrates with a tendency to cavitate.